Ascariasis causes:
1. Appendicitis
2. Intestinal obstruction
3. Bile duct obstruction
4. All of the above

Correct answer: 4. All of the above

Explanation: Ans. (d)(Ref: Parasitology-Protozoology and Helminthology by K.D. Chatterjee, 13th edition)The worm inhabits the upper part of the small intestine. Pathogenic effect are:Spoliative action: robbing the host of its nutrition.Toxic action: may give rise to typhoid like fever, responsible for allergic reactions urticarial, oedema of the face, conjunctivitis and irritation of the upper respiratory tract.Mechanical effects-can cause intussusception, can penetrate through the ulcers of the alimentary canal, intestinal obstruction.Ectopic Ascariasis.